All of the following are placental hormones, EXCEPT:
1. Chorionic gonadotropin
2. Chorionic thyrotropin
3. Chorionic corticotropin
4. Chorionic calcitonin

Correct answer: 4. Chorionic calcitonin

Explanation: Many hormones are secreted by the syncytiotrophoblast of the chorion, and a few additional hormones are produced by the decidual cells. Placental hormones include, Chorionic gonadotropin Chorionic thyrotropin Chorionic corticotropin Estrogens Progesterone Prolactin Placental lactogen Ref: Paulsen D.F. (2010). Chapter 23. Female Reproductive System. In D.F. Paulsen (Ed), Histology & Cell Biology: Examination & Board Review, 5e.